Which of the following is true about mature cyst of E. Hystolica-
1. Endoplasm and ectoplasm are clearly define
2. Eight chromatid bodies
3. Shows chromatid bodies and glycogen mass
4. Nuclear structure retains characteristics of trophozite

Correct answer: 4. Nuclear structure retains characteristics of trophozite

Explanation: Entamoeba histolytica. (A) Trophozoite; (B) Precystic stage; (C) Uninucleate cyst; (D) Binucleate cyst; (E) Mature quadrinucleate cyst; 1--Ectoplasm; 2--Endoplasm; 3--Ingested erythrocytes; 4--Pseudopodium; 5--Nucleus; 6--Chromidial bar; 7--Glycogen mass in mature cyst- nuclear structure similar to trophozoite quadrinucleate glycogen mass and chromatid bars disappeared TEXTBOOK OF MEDICAL PARASITOLOGY,BAVEJA,3RD EDITION,PAGE NO 16